Wrong about clonidine is -
1. Alpha 2 receptor agonist
2. First line for ADHD
3. Sudden withdrawal causes rebound hypertension
4. Controls loose motions due to diabetic neuropathy

Correct answer: 2. First line for ADHD

Explanation: Ans. is 'b' i.e., First line for ADHDo Behavioural therapy is the first line therapy for the treatment of ADHD. The first line drug for ADHD is Methylphenidate.Clonidineo It acts (partial agonist) on a2 receptors, especially a2A in brainstem - Stimulation of a2A receptors in medulla (vasomotor centre) - decrease sympathetic out flow - fall in BP and bradycardia (also due to enhanced vagal tone),o a2A receptor stimulation is responsible for sedation produced by clonidine.o Clonidine also binds to a nonadrenergic receptor, imidazoline receptor, which may also mediate antihypertensive effect.o Rilmenidine and moxonidine are selective cerebral imidazoline receptor agonists with little a2 action -equivalent antihypertensive action with low sedative property.o Rapid i.v. injection of clonidine raises BP transiently due to activation of peripheral postsynaptic vasoconstrictor a2B receptors at high concentrations so attained. Oral doses producing lower plasma levels cause only fall in BP, because clonidine has lower intrinsic activity on a2B receptors which predominate in vascular smooth muscle,o Uses of clonidine* Hypertension# Opioid withdrawl# Menopausal syndrome* Alcohal withdrawal# Smoking cessation# Loose motions in diabetic neuropathy* Test for pheochromocytoma o Abrupt discontinuation of clonidine therapy can lead to rebound hypertension (treated with phentolamine); therefore this drug is not suitable for people having travelling job like business executives who are likely to miss the doses.